Which of the following statements is false regarding hypernephroma?
1. Leather workers have an increased risk
2. Arises from the proximal tubular epithelium
3. Hb levels may be elevated
4. It produces osteosclerotic secondaries on flat bone

Correct answer: 4. It produces osteosclerotic secondaries on flat bone

Explanation: It produces vasculitis pulsatile osteolytic secondaries on flat bones. Note: - Anaemia may also occur in RCC which may be dispropoional to haematuria. Ref: Manipal Manual of Surgery, Pages 550-51.